The drug available for the treatment of resistant cases of atrial fibrillation is?
1. Amiodarone
2. Quinidine
3. Propranolol
4. Digoxin

Correct answer: 1. Amiodarone

Explanation: Ans. is 'a' i.e., Amiodarone o Amiodarone is used to maintain sinus rhythm when other drugs have failed.